Investment breakdown or air bubbles on wax can affect the casting, as:
1. Leads to the surface roughness of casting.
2. Fins on casting.
3. Distorted casting.
4. Microporosity.

Correct answer: 1. Leads to the surface roughness of casting.